The skin overlying the region where a venous "cut down" is made to access the great saphenous vein is supplied by
1. Femoral nerve
2. Tibal nerve
3. Sural nerve
4. Superficial perineal nerve

Correct answer: 1. Femoral nerve

Explanation: (Femoral nerve) * Great saphenous vein lies in the medial side of the leg and thigh, it is the MC site of venous cut down * It is accompanied by saphenous nerve all along, the nerve which supplies the medial aspect of the leg and dorsum of the foot till the ball of great toe. * Saphenous nerve itself is a branch of femoral nerve and can get damaged during venesection of great saphenous. * The skin over the medial thigh is mainly supplied by the medial cutaneous branch of femoral nerve. * Sural nerve is actually a branch of tibial nerve and supplies the lateral side of the lower leg and lateral dorsum of the foot (little toe). * Superficial peroneal nerve supplies skin on the lateral aspect of the leg and most of the dorsum of the foot. * Deep peroneal nerve supplies the 1st web-space on the dorsum of the foot.